In a post partum patient the blood volumes becomes normal after non pregnant state in
1. 2 weeks
2. 4 weeks
3. 6 weeks
4. 10 weeks

Correct answer: 1. 2 weeks

Explanation: 2 weeks